The following antibiotic accentuates the neuromuscular blockade produced by pancuronium:
1. Streptomycin
2. Erythromycin
3. Penicillin G
4. Chloramphenicol

Correct answer: 1. Streptomycin

Explanation: * Aminoglycosides (like streptomycin and gentamicin) can accentuate the neuromuscular blockade produced by competitive blockers (like pancuronium). * Mechanism of neuromuscular blockade produced by aminoglycosides is the inhibition of presynaptic release of ACh.